Which of the following is/are used for assessment of carbohydrate malabsorption:
1. Schilling test
2. Steatorrhoea
3. D-xylose test
4. Glucose test

Correct answer: 3. D-xylose test

Explanation: Answer- C. D-xylose testD-xylose absorption test is the most commonly employed test for carbohydrate absorption - HarrisonAn endoscopic mucosal biopsy is the more specific test and is now considered essential.D-xylose is a carbohydrate that is absorbed almost exclusively in the proximal small bowel without the help of pancreatic enzymes. A positive D-xylose test indicates malabsorption due to intestinal mucosal disease and thus be used as a test for assessment of mucosal function.